Features of liver damage are all except
1. Decreased factor VII levels
2. Raised prothrombin time
3. Conjugated as well as unconjugated hyperbilirubinemia
4. Decreased erythropoietin production

Correct answer: 4. Decreased erythropoietin production

Explanation: Ans. d (Decreased erythropoietin production). (Ref. Harrison's 18,h/Ch. 301., Robbins 6th/846, 1667)SIGNS OF LIVER FAILURE:# Intermediate metabolism of amino acids and carbohydrates# Synthesis and degradation of proteins and glycoproteins# Metabolism and degradation of drugs and hormones# Restriction of lipid and cholesterol metabolism# Coagulation factor# Bile, bile salts and impaired metabolism.